Complications of acute osteomyelitis -a) Malignancyb) Fracture of the affected bonec) Sepsisd) Chronicity
1. abc
2. acd
3. bcd
4. bd

Correct answer: 3. bcd

Explanation: The important complications are : -

i) Septicemia and pyemia           
ii)  Septic arthritis    
iii) Chronic oseomyelitis (most common complication)   
iv) Metastatic infection to other bones, serous cavities, Lung or brain.            
v)  Pathological fracture  
 vi) Altered growth from damage to epiphyseal growth plate.